All are true about SALK vaccine except-
1. OPV cannot be given as booster dose
2. Injections during epidemic can cause paralysis
3. Induces circulating antibody but no local immunity
4. Does not prevent multiplication of wild virus in gut

Correct answer: 1. OPV cannot be given as booster dose

Explanation: - salk polio vaccine is inactivated polio vaccine. - induce humoral immunity but not intestinal or local immunity. - for community, it does not offer protection because wild virus can still multiply in gut and be a source of iinfection to others. - not suitable for an epidemic. - one or two doses of OPV can be given safely as boosters after an initial immunisation with inactivated vaccine. Reference : Park's textbook of preventive and social medicine, 23rd edition, pg no:206